A 46-year-old chronic alcohilic complains of infertility. What is the cause of testicular atropy ?
1. Liver dysfunction
2. Thrombosis of testicular vessels
3. Vitamin B12 deficiency
4. Peripheral neuropathy

Correct answer: 1. Liver dysfunction

Explanation: Liver dysfunction causes increased estrogen and decreased testosterone leading to testicular atropy.